Which one of the following enzymes is not a protein, but an RNA molecule
1. Peptidyl transferase
2. RNA polymerse
3. Restriction endonuclease
4. Reverse transcriptase

Correct answer: 1. Peptidyl transferase

Explanation: Some RNA molecules have intrinsic catalytic activity. The activity of these RNA enzymes, or ribozymes, often involves the cleavage of a nucleic acid. Two ribozymes are the peptidyl transferase that catalyzes peptide bond formation on the ribosome, and ribozymes involved in the RNA splicingRef: Harper 30th pg: 363